Which of the following respiratory conditions is most alarming during patient sedation in dental clinic?
1. Apnea
2. Dyspnea
3. Hyperapnea
4. Tachyopnea

Correct answer: 1. Apnea